Predisposing factor for Nasal myiasis is?
1. Allergic rhinitis
2. Vasomotor rhinitis
3. Atrophic rhinitis
4. Rhinitis medicamentosa

Correct answer: 3. Atrophic rhinitis

Explanation: Maggots are seen to infest nose, nasopharynx, and paranasal sinuses causing extensive destruction flies of genus Chrysemys, are attracted by the foul smelling discharge emanating from cases of atrophic rhinitis, syphilis, leprosy or infected wounds and lay eggs. Seen as swelling of the nose and puffy eyelids with serosanguinous nasal discharge. Ref - PL DHINGRA diseases of ear nose and throat, 6th edition, page no 163